Equatorial diameter of the lens is -
1. 7 mm
2. 8 mm
3. 9 mm
4. 10 mm

Correct answer: 3. 9 mm

Explanation: Circumferance of the lens is known as equator. its diameter varies from 8.8mm-9.2mm and the anteroposterior diameter varies with accommodation. REF IMG